10% dextrose is:
1. Isotonic
2. Hypotonic
3. Hypertonic
4. None

Correct answer: 3. Hypertonic